What is involved in formation of d-TMP from d-UMP
1. N5, N10-methylene tetra hydrofolate
2. Form imino folate
3. N5 formyl folate
4. Dihydrofolate

Correct answer: 1. N5, N10-methylene tetra hydrofolate